Disinfectant working by causing plasma membrane damage is:
1. Ammonium compounds
2. HC1
3. Alcohol
4. Halogenated compounds

Correct answer: 1. Ammonium compounds

Explanation: Ammonium compounds